A person suffers from B27 associated reactive arthritis, urethritis and conjunctivitis. Which is most likely organism involved in this case ?
1. Borrelia burgdorferi
2. Ureaplasma urealyticum
3. Betahemolytic streptococci
4. Streptococcus bovis

Correct answer: 2. Ureaplasma urealyticum

Explanation: Ureaplasma urealyticum Reiter's syndrome is caused by a preceeding infection with chlamydia trachomatis. Other bacterias known to cause reactive arthritis are :? - Neisseria gonorrhoea - Ureaplasma urealyticurn - Salmonella - Shigella - Yersinia and - Campylobacter